Which of the following hormone doesn't use the adenylyl cyclase-cAMP as a second messenger ?
1. TSH
2. Epinephrine
3. Insulin
4. Glucagon

Correct answer: 3. Insulin

Explanation: Hormones That Use the Adenylyl Cyclase-cAMP as Second Messenger System Adrenocorticotropic hormone (ACTH) Angiotensin II (epithelial cells) Calcitonin Catecholamines (b receptors) Corticotropin releasing hormone (CRH) Follicle-stimulating hormone (FSH) Glucagon Growth hormone releasing hormone (GHRH) Human chorionic gonadotropin (hCG) Luteinizing hormone (LH) Parathyroid hormone (PTH) Secretin Somatostatin Thyroid-stimulating hormone (TSH) Vasopressin (V2 receptor, epithelial cells) Insulin acts on tyrosine kinase receptor pathway.